Endotoxic shock is initiated by:
1. Peripheral vasodilation
2. Injury to endothelial cells
3. Inadequate blood volume
4. Failure of myocardial pump

Correct answer: 2. Injury to endothelial cells